A 45-year-old female complains of lower abdominal pain and vaginal discharge. On examination, there is cervicitis along with a mucopurulent cervical discharge. The best approach to isolate the possible causative agent would be
1. Culture chocolate agar supplemented with Haemin
2. Culture on McCoy cells
3. Culture on a bilayer human blood agar
4. Culture on vero cell lines

Correct answer: 2. Culture on McCoy cells

Explanation: Sexually transmitted diseases may be present in the following ways: Vaginal discharge, Cervical/urethral discharge due to Neisseria gonorrhoea or Chlamydia trachomatis Genital ulcers etc. The culture for sexually transmitted diseases is done by Irradiated McCoy cells medium Ref: Ananthanarayan and Paniker's Textbook of Microbiology, 9th edition; Pg no 675